Muscle of neck with dual nerve supply
1. Sternohyoid
2. Thyrohyoid
3. Digastric
4. Stylohyoid

Correct answer: 3. Digastric

Explanation: Digastric muscle Digastric has two bellies United by an intermediate tendon. NERVE SUPPLY; anterior belly by nerve to mylohyoid, facial nerve. ACTIONS; 1. Depresses mandible is opened widely or against resistance it is secondary to lateral pterygoid. 2. Elevates hyoid bone. Ref BDC volume 3;6th edition